Wof is cell cycle nonspecific antineoplastic drug
1. Vincristine
2. Methotrexate
3. Bleomycin
4. None of the above

Correct answer: 4. None of the above

Explanation: Vincristine act on 'M' phase by inhibiting polymerization of microtubules. Methotrexate act on 'S' phase by inhibiting DHFA reductase enzyme Bleomycin act on 'G2M' phase by causing oxidative damage to dna Ref:- kd tripathi; pg num:- 874